If a biochemical test gives the same reading for a sample on repeated testing, it is inferred that the measurement is:
1. Precise
2. Accurate
3. Specific
4. Sensitive

Correct answer: 1. Precise